Most common site of Ewing's sarcoma -
1. Upper end of tibia
2. Shaft of tibia
3. Lower end of femur
4. Shaft of femur

Correct answer: 4. Shaft of femur

Explanation: Ans. is 'd' i.e., Shaft of femur Commonest siteo Ivory osteoma-Frontal sinuso Osteoid osteoma-Tibiao Admantinoma (Ameloblastoma)-Mandibleo Chordoma-Sacrum and cervical spineo Osteoclastoma-Lower end of femuro Ewing's sarcoma-Femur diaphysis > tibia diaphysiso Osteosarcoma-Distal femur (45%), Proximal tibia (25%)o Simple bone cyst-Proximal humeruso Aneurysmal bone cyst-Bones around knee (Femur, tibia)o Osteochondroma-Bones around knee (distal femur > proximal tibia)o Fibrous dysplasia-Proximal femur > Tibiao Enchondroma-Phalanges of hando Multiple myeloma-Vertebraeo Metastasis-Vertebrae